Which of the following is NOT a CONTRAINDICATION for laparoscopic surgery:
1. Severe cardiac compromise
2. Hiatus hernia
3. Bowel herniation
4. Endometriosis

Correct answer: 4. Endometriosis

Explanation: Ans. D i.e. Endometriosis Routine laparoscopy in women with unexplained infertility ?nay reveal endometriosis in 10% of cases